Rarest variety of Pemphigus
1. Pemphigus vulgaris
2. Pemphigus foliaceous
3. Pemphigus vegetans
4. Pemphigus erythematosus

Correct answer: 3. Pemphigus vegetans

Explanation: Pemphigus vegetans is a localized form of pemphigus vulgaris. in which there is a localized vegetating papillomatous response. The eroded areas do not heal like usual but form papillomatous growth and vegetation. Accounts for 1-2% of pemphigus cases and is a relatively benign variant of pemphigus vulgaris. Ref Harrison20th edition pg 2435